Normal fetal heart rate at 37-40 weeks of pregnancy :
1. 80 - 120/min
2. 120 - 160/min
3. 140 - 180/min
4. 160 - 200/min

Correct answer: 2. 120 - 160/min

Explanation: Ans. is b i.e. 120 - 160/min Fetal heart rate Before 6 weeks : 100 - 115 bpm By 8 weeks : 144 - 160 bpm As pregnancy advances it settles down to 120-140 bpm. Also know : Sounds which can be confused with FHS : Uterine souffle : It is a soft-blowing systolic murmur. It is due to increase in blood flow through the dilated uterine vessels and is synchronous with maternal pulse. Best heard at the sides of uterus (especially left side). Fetal souffle : It is soft blowing murmur synchronous with fetal heart sound. It is due to rush of blood through the umbilical arteries.